Cause of RF in rhabdomyolysis is -
1. Increased K
2. Increased P04
3. Increased uric acid
4. Myoglobin

Correct answer: 4. Myoglobin

Explanation: Ans. is 'd' i.e., Myoglobin o Muscle destruction leads to release of mvoglobinQ.o The circulating myoglobin becomes free and is filtered(r) by the kidney.o Myoglobin in the renal glomerular filtrate can precipitate and cause renal tubular obstruction, leading to renal damage.